Streptococcal GN is best diagnosed by -a) ASO titreb) AntiDNAsec) Antihyaluronidase d) Culture
1. bc
2. c
3. ac
4. ad

Correct answer: 1. bc